Muller's muscle is found in ?
1. Pharynx
2. Middle ear
3. Eye lid
4. Tongue

Correct answer: 3. Eye lid

Explanation: Ans. is 'c' i.e., Eye lidAn eyelid is a thin fold of skin that covers and protects the anterior surface of eyeball.The eyelid is made up of several layers; from superficial to deep are : Skin, subcutaneous tissue, orbicularis oculi, orbital septum & tarsal plate, and palpebral conjunctiva.Eye lid also contains many glands : Meibomian glands (modified sebaceous glands), Zeis glands (modified sweat glands) and accessary lacrimal glands of Wolfring.Motor nerve supply of lid is through three sources :- i) Facial nerve supplying orbicularis oculi, it) Oculomotor supplying levator palpebrae superioris; iii) Sympathetic fibres supplying muller's muscle.Sensory supply is derived from branches of trigeminal nerve.